Myocardial  contractility  is  increased by:
1. Atropine
2. Decreased end diastolic volume
3. Increased  heart  rate  from  70  to  150 beats/min
4. Reduced arterial pH to 7.3

Correct answer: 3. Increased  heart  rate  from  70  to  150 beats/min

Explanation: Option A: Atropine is a muscarinic receptor antagonist that is used to inhibit the effects of excessive vagal activation on the heart, which is manifested as sinus bradycardia and AV nodal block. Effect on contractility is negligible. 
Option B: Decrease EDV decreases contractility by Frank Starling law.
Option  D:  Acidosis, hypercapnoea and hypoxia inhibit myocardium contractility.
Option C: This effect is known as Bowditch Effect (Myocardial tension increases with an increase in heart rate).